A 19 year old boy fell from the motor bike on his shoulder. The doctor diagnosed him a case of Erbs paralysis. The following signs and symptoms will be observed except -
1. Loss of abduction at shoulder joint
2. Loss of lateral rotation
3. Loss of pronation at radioulnar joint
4. Loss of flexion at elbow joint.

Correct answer: 3. Loss of pronation at radioulnar joint

Explanation: Movements affected in Erb’s palsy
-        Shoulder

   Abduction
   Lateral rotation

-        Forearm

   Flexion
   Supination

-        Biceps & Supinator jerks lost
-        Sensation over lower part of deltoid lost